If aerobic glycolysis uses Glycerol-3-Phosphate shuttle, How many net ATPs are produced?
1. 2 ATP
2. 5 ATP
3. 7 ATP
4. 3 ATP

Correct answer: 2. 5 ATP

Explanation: The inner mitochondrial membrane is impermeable to NADH. Therefore, the NADH produced in the cytosol cannot directly enter the mitochondria. It enters mitochondria indirectly with the help of shuttles. e.g glycerol phosphate and malate shuttles. ATP yield in Aerobic glycolysis and Glycerol phosphate shuttle: Total ATP = 4 ATP + (-2 ATP) + 3 ATP = 5 ATP